Best prognosis in Carcinoma stomach is seen in
1. Superficial spreading type
2. Ulcerative type
3. Linitis plastic type
4. Polypoidal type

Correct answer: 1. Superficial spreading type

Explanation: Ans. (a) Superficial spreading type(Ref: R 9th/pg 771)The depth of invasion and the extent of nodal and distant metastases at the time of diagnosis remain the most powerful prognostic indicators in gastric cancer.